The extraocular muscle that does not originate at or near the apex of the orbit is the?
1. Inferior oblique
2. Inferior rectus
3. Levator palpebrae superioris
4. Superior oblique

Correct answer: 1. Inferior oblique

Explanation: The inferior oblique muscle does not originate at the apex of the orbit. It takes origin from the floor of the orbit, lateral to the lacrimal groove. The inferior rectus and superior rectus muscles take origin from the common tendinous ring at the apex of the orbit. The levator palpebrae superioris takes origin from the apex of the orbit above the optic canal. The superior oblique muscle takes origin from the apex of the orbit, above the optic canal. Ref: Dhillon N. (2012). Chapter 1. Anatomy. In A.K. Lalwani (Ed), CURRENT Diagnosis & Treatment in Otolaryngology--Head & Neck Surgery, 3e